Psychoanalytical theory was given by:
1. Freud.
2. Eric Erickson.
3. Piaget.
4. Masler.

Correct answer: 1. Freud.